All of the following are true regarding typhoid except-
1. Urinary carriers are more dangerous
2. Vi ab is used for detecting carrier
3. Vi is seen in normal population
4. Urine carrier is associated with anomalies

Correct answer: 3. Vi is seen in normal population